Mass Chemoprophylaxis is given for
1. Plague
2. Filaria
3. Cholera
4. Measles

Correct answer: 2. Filaria